A red cell with a volume of 100 cu.microns and intracellular osmolality of 300 mOsm was placed in a solution with an osmolality of 100 mOsm. What will be the final volume of this cell?
1. 33.33 cu.microns
2. 50 cu.microns
3. 150 cu.microns
4. 300 cu.microns

Correct answer: 4. 300 cu.microns

Explanation: pi Vi = pf Vf 100 x 300 = 100 x Vf Vf = 300 Pi - initial osmolality; Pf - final osmolality Vi - initial volume; Vf - final volume